Aminocaproic acid would be recommended for a hemophilic child with – a)  Epistaxisb)  Haematuriac)  Oral bleedingd)  Hemarthrosis
1. ac
2. bc
3. ad
4. b

Correct answer: 1. ac

Explanation: Epsilon aminocaproic acid (EACA) and tranexamic acid, inhibitors of fibrinolytic enzyme, inhibit clot lysis and promote the hemostasis in oral bleeds, and other sites e.g., epistaxis.
In hematuria it is contraindicated. Factor VIII is given, if not controlled prednisolone is given.
In hemarthrosis, Factor VIII is given.